Tom Smith Arthritis -
1. Pyogenic Infection of infancy
2. TB
3. Rheumatoid arthritis in children
4. Osteoarthritis in Middle aged men

Correct answer: 1. Pyogenic Infection of infancy

Explanation: Ans. is 'a' i.e., Pyogenic infection of infancy o Tom smith arthritis is the septic arthritis of hip joint, occurs in infancy. At this stage head of the femur is cartilaginous and is rapidly and completely destroyed by the pyogenic process.o Has been explained in previous sessions.